Percentage of lignocaine use for spinal anaesthesia is:
1. 0.50%
2. 5%
3. 2.50%
4. 2%

Correct answer: 2. 5%

Explanation: 5% lignocaine is used for spinal anaesthesia. Also know: Percentage of lignocaine used for: IV regional anaesthesia - 0.5% Nerve block - 1% Epidural / Jelly - 2% Topical - 4% Spinal - 5% Ref: Morgan's 4th / pg. 270, KDT 6th / pg. 357.